Cell mediated immune response is which type of hypersensitivity -
1. I
2. II
3. III
4. IV

Correct answer: 4. IV

Explanation: Ans. is `d' i.e., IV